Avascular necrosis can be a possible sequelae of fracture of all of the following bones, except -
1. Femur neck
2. Scaphoid
3. Talus
4. Calcanuem

Correct answer: 4. Calcanuem

Explanation: Some of the common sites where avascular necrosis occurs are